The melting point of silver is
1. 1063° Centigrade
2. 960° Centigrade
3. 850° Centigrade
4. 1123° Centigrade

Correct answer: 2. 960° Centigrade